HLA DR3 is associated with?
1. Dermatitis herpetiformis
2. Pemphigus vulgaris
3. Behcet disease
4. Psoriasis vulgaris

Correct answer: 1. Dermatitis herpetiformis

Explanation: Ans. is 'a' i.e., Dermatitis herpetiformis * Both dermatitis herpetiformis and celiac disease (gluten sensitive enteropathy) are associated with increased expression of HLA-A1, HLA-B8, HLA-DR3 and HLA-DQ2.* DR3 associated diseases are Myasthenia gravis, Graves' disease, Type I DM, Dermatitis herpetiformis, Chronic active hepatitis, Caucasian SLE, Sjogren's syndrome.About other options* Pemphigus vulgaris - DQ1* Behcet disease - B51* Psoriasis vulgaris - CW6